Which is not a germ cell tumour
1. Dysgerminoma
2. Teratoma
3. Granulosa theca cell tumour
4. Embryonal cell carcinoma

Correct answer: 3. Granulosa theca cell tumour

Explanation: Epithelial Ovarian Tumour Histologic typeSerousMucinousEndometroidClear cell" mesonephroid BrennerMixed epithelial Undifferentiated UnclassifiedCellular type Endosal pineal Endocervical Endometrial Mullerian TransitionalMixedAnaplastic Mesothelioma etc.